Which of the following hereditary hyperbilirubinemia is most fatal:
1. Dubin Johnson syndrome
2. Rotor syndrome
3. Crigler - Najjar syndrome type I
4. Crigler - Najjar syndrome type II

Correct answer: 3. Crigler - Najjar syndrome type I

Explanation: Ans. (c) Crigler - Najjar syndrome type IRef: Robbins pathology 9th ed. /853-54